Which tooth is absent in temporary dentition ?
1. Molar
2. Premolar
3. Incisor
4. Canine

Correct answer: 2. Premolar

Explanation: Premolars are absent in temporary dentition.